Accidental chocking of respiratory passage by bolus of food is known as
1. Gaging
2. Overlying
3. Cafe coronary
4. Burking

Correct answer: 3. Cafe coronary

Explanation: Cafe coronary is a condition in which a healthy but grossly intoxicated person who begins a meal suddenly turns blue, coughs violently, then collapses and dies. Death appears to be due to sudden heart attack. At autopsy, a large piece of poorly chewed food may be found obstructing the larynx. Reff: The synopsis of forensic medicine & Toxicology 28th edition pg: 189